Timolol can produce which of the following effect in an asthmatic patient?
1. Bronchodilation
2. Bronchospasm
3. Decreased bronchial secretions
4. Increased bronchial secretions

Correct answer: 2. Bronchospasm

Explanation: Timolol is a non-selective Beta blocker (1st generation) It is used for treatement of primary open angle glaucoma. It can cause bronchoconstriction (by blocking beta 2 receptors) particularly in asthmatics.